Which of the following is not a component of VACTERL association
1. Tracheoesophageal fistula
2. Renal agenesis
3. Radial aplasia
4. Aniridia

Correct answer: 4. Aniridia

Explanation: VACTERL ASSOCIATION consists of

Vertebral defects
Anorectal malformations
Cardiac defects
Tracheoesophageal fistula
Renal agenesis
Radial (limb) abnormality